The radiopacity of zygoma is superimposed on roots of:
1. Premolars
2. 1st and 2nd maxillary molar
3. Maxillary 3rd molar
4. All of the above

Correct answer: 2. 1st and 2nd maxillary molar

Explanation: The radiopacity of zygoma is usually superimposed on the roots of 1st and 2nd maxillary molars, but not on the roots of 3rd molars.